Milan criteria is used for:
1. Liver transplantation
2. GERD staging
3. Cirrhosis staging
4. Hepatic encephalopathy staging

Correct answer: 1. Liver transplantation

Explanation: Milan criteria are applied as a basis for selecting patients with cirrhosis and hepatocellular carcinoma for liver transplantation. The Milan criteria state that a patient is selected for transplantation when he or she has: One lesion smaller than 5 cm. Up to 3 lesions smaller than 3 cm. No extrahepatic manifestations No vascular invasion